Which of the following is absent in hemolytic anemia?
1. Increased indirect bilirubin
2. Increased direct bilirubin
3. Increased reticulocyte count
4. Jaundice

Correct answer: 2. Increased direct bilirubin

Explanation: Ans. (b) Increased direct bilirubinIncreased indirect bilirubin and not direct bilirubin are the findings in hemolytic anemia MCV%S%A%A2 %FASN35-3862-65<3.5<1SSN88-930<3.55-10S/bdegthalassaemiaL88-930>3.55-10